Primary bile acid is?
1. Deoxycholic acid
2. Lithocholic acid
3. Chenodeoxycholic acid
4. None

Correct answer: 3. Chenodeoxycholic acid

Explanation: Ans. is 'c' i.e., Chenodeoxycholic acid Primary bile acids are cholic acid and chenodeoxycholic acid, which are synthesized from cholesterol in liver. In the intestine some of the primary bile acids are converted into secondary bile acids, i.e., deoxycholic acid (formed from cholic acid) and lithocholic acid (derived from chenodexoxycholic acid). Glycine and taurine conjugates of these bile acids are called as bile salts. For example, cholic acid is a bile acid, and its glycine conjugate (glycocholic acid) is a bile salt.